In SLE, characteristic kidney lesion is
1. Mesangial proliferation
2. Tubular fibrin deposits
3. Wire loop lesions
4. IgG deposits

Correct answer: 3. Wire loop lesions

Explanation: Answer is C (Wire loop lesions): Wire loop lesions are characteristic of SLE Wire loop lesions: Wire loop lesions represent local PAS - Positive thickening of glomerular capillary walls and are characteristically sen in Lupus Nephritis (SLE) These lesions result from subendothelial deposits between endothelium and basement membrane. When extensive and confluent, these subendothelial deposits create a homogenous thickening of the capillary wall which can be seen in light microscopy as 'Wire loop lesion' Wire loop lesions are most characteristic of Lupus Nephritis Class IV or Diffuse Lupus Nephritis These may however also be seen in Class III (Focal Lupus Nephritis) and Class V (membranous) Lupus Nephritis.